Low complement levels seen in -a) PSGNb) MPGNc) Good pasture's syndromed) Wegner's granulomatosise) Infective endocarditis
1. abc
2. abe
3. cde
4. acd

Correct answer: 2. abe

Explanation: Causes of hypocomplementemia
• Glomerulonephritis
–– Idiopathic proliferative GN
–– Cresenteric GN
–– MPGN
–– Post-infectious GN
• Lupus nephritis
• Cryoglobulinemia
• Bacterial endocarditis
• Shunt nephritis
• Atheroembolic renal disease
• Sepsis
• Acute pancreatitis
• Advanced liver disease